Which of the following is not abrasion -
1. Graze
2. Scratches
3. Impact
4. Avulsion

Correct answer: 4. Avulsion

Explanation: The synopsis of forensic medicine & toxicology ;Dr k.s narayan reddy ;28th edition ; pg.no. 111 & 104 Avulsion is a type of laceration also called flaying .